Helicobactor pylori is associated with following except;
1. Type A gastritis
2. M.A.L.Toma
3. Gastric adenocarcinoma
4. Hyperchlorhydria

Correct answer: 1. Type A gastritis

Explanation: Type A is autoimmune gastritis with antibodies against parietal cells whereas the gastritis caused by H. Pylori is referred to as type B gastritis.